Glasgow coma scale E3M4V5 represents:
1. Spontaneous eye opening
2. Eye opening with pain stimulus
3. Incomprehensible sound
4. Oriented conversation

Correct answer: 4. Oriented conversation

Explanation: Answer- (D) Oriented conversationDomainResponseScoreEye openingSpontaneousTo speechTo painNone4321Best verbal responseOrientedConfusedInappropriateIncomprehensibleNone54321Best motor responseObeyingLocalizingWithdrawalFlexingExtendingNone654321Total scoreDeep coma or deathFully alert and oriented315